Herbert\'s pits are seen in –
1. Trachoma
2. Spring catarrh
3. Phlyctenular conjunctivitis
4. Sarcoidosis

Correct answer: 1. Trachoma

Explanation: Herbert pits are the oval or circular pitted scar, left after healing of herbert follicles in the limbal area.